All of the following indices are used to measure the "Physical quality of life index", EXCEPT:
1. Per capita income
2. Literacy
3. Life expectancy at age one
4. Infant mortality

Correct answer: 1. Per capita income

Explanation: Per capita income is not included among the indicators of Physical Quality of Life as it does not measure the economic growth but instead it measures the social, economic and political policies. While the other three above given options are the indicators which consolidate Physical Quality of Life. Ref: Park's Textbook of Preventive and Social Medicine, 19th Edition, Pages 16.